Systolic BP of a group of person follows normal distribution curve. The mean BP is 120. The values above 120 are:
1. 25%
2. 75%
3. 50%
4. 100%

Correct answer: 3. 50%

Explanation: Ans. is 'c' i.e. 50% in the normal distribution curve 50% of values lies on either side of the mean .Therefore values lying above 120 (which is the mean B.R) are 50%